Which is the first intermediate product of LOX pathway?
1. LTs
2. HPETE
3. HETE
4. Lipoxins

Correct answer: 2. HPETE

Explanation: Hydroperoxy eicosatetraenoic acid (HPETEs) is the first intermediate product produced by LOX HPETE can be converted into Leukotrienes,Lipoxins,Hydroxytetraenoic acid Reference: Harpers illustrated biochemistry 30th edition page 243